Carcinoma of the Rt. colon commonly presents as -
1. Ulcerating lesion
2. Fungating
3. Stenosing
4. Infiltrating

Correct answer: 2. Fungating

Explanation: Pathology of colon carcinoma

Colorectal carcinomas grow into different morphological patterns depending on the anatomic location of the tumor.


Right colon → Grow as polypoid, exophytic (fungating) masses that extend along the wall of the cecum and ascending colon.
Left colon → Annular, encircling lesions that produce so-called napkin-ring constriction of the bowel.